Which of the following drug causes additive anaemia and neutropenia if given to an AIDS patient on zidovudine?
1. Acyclovir
2. Amantidine
3. Ganciclovir
4. Stavudine

Correct answer: 3. Ganciclovir

Explanation: Gancyclovir is an antiviral drug used to treat cytomegalo virus. Zidovudine also known as azidothymidine a anti retro viral drug used in treatment of HIV. Gancyclovir shouldnot be combined with zidovudine since both have bone marrow suppressant properties Ref:KDT6/e p 770